A young man having pheochromocytoma has BP of 188/92 mm Hg and a hematocrit of around 50%. Pulmonary function tests and renal functions are normal. His catecholamines are elevated. Which of the following drugs should not be included in the anesthesia protocol?
1. Desflurane
2. Fentanyl
3. Halothane
4. Midazolam

Correct answer: 3. Halothane

Explanation: * Halothane sensitizes the heart to arrhythmogenic action of catecholamines. * In pheochromocytoma, there are elevated levels of catecholamines. * Therefore, halothane should not be used in patients with pheochromocytoma.